Which of the following is not an epigenetic change?
1. Acetylation of histone
2. Methylation of DNA
3. Methylation of histone
4. Point mutation

Correct answer: 4. Point mutation

Explanation: Epigenetics Study of heritable gene expression without change in the nucleotide sequences. Major epigenetic mechanisms: DNA methylation Histone modifications Alteration in Chromatin Structure microRNAs Point mutation Changes the nucleotide sequence. Does not come under the definition of epigenetic change.